Least likely to be Pre-leukemic condition is -
1. Paroxysmal nocturnal hemoglobinuria
2. Paroxysmal cold hemoglobinuria
3. Aplastic anemia
4. Myelodysplastic syndrome

Correct answer: 2. Paroxysmal cold hemoglobinuria